In a demographic cycle low stationary phase corresponds to which stage?
1. First
2. Fourth
3. Second
4. Third

Correct answer: 2. Fourth